Most potent chemoattracatant is:
1. Leukotriene B4
2. Leukotriene C4
3. Leukotriene D4
4. Leukotriene E4

Correct answer: 1. Leukotriene B4

Explanation: Ans. a. Leukotriene B4